In disaster management all are true except-
1. Mitigation before a disaster strikes
2. Response in pre-disaster phase
3. Yellow color is for medium priority
4. Gastroenteritis is commonest infection after disaster

Correct answer: 2. Response in pre-disaster phase

Explanation: Disaster management
Management sequence of a sudden-onset disaster is as follows:-
a) Risk reduction phase before a disaster strikes
It includes:-

Mitigation: Measures designed either to prevent hazards from causing emergency or to lessen the likely effect of emergencies.
Preparedness: To ensure that appropriate systems, procedures and resources are in place to provide prompt effective assistance to disaster victims.

b) Disaster Impact

Most injuries are sustained during the impact, and thus greatest need for emergency care occurs in first few hours.

The management can be divided into

Search, rescue and first aid: Most immediate help comes from uninjured survivors.
Field care: As many injured patients come simultaneously, emergency services should be proper in terms of priorty and numbers of facilities.
Triage: Triage consists of classifying the injured on the basis of severity of injuries and the likely hood of their survival with prompt medical intervention.

The most common triage classification system used internationally is four colour code system
i) Red → High priority treatment or transfer
ii) Yellow → Medium priority
iii) Green → Ambulatory patients
iv) Black → Dead or moribund patients
4. Tagging : All patients should be identified with tags.
5. Identification of dead : Proper respect to dead is of great importance.
c) Recovery phase after disaster 
It includes :-
Response : Response starts with disaster impact and extends in recovery phase.
Rheabilitation and reconstruction : These should lead to restoration of pre-disaster condition

The ‘control room’ is nodal center in terms of disaster management.
The diseases common after a disaster are: Gastroenteritis (most common), acute respiratory infections (pneumonia), leptospirosis, rabies, equine encephalitis and rickettsiosis.